Nurse Joey is assigned to care for a postoperative male client who has diabetes mellitus. During the assessment interview, the client reports that he’s impotent and says he’s concerned about its effect on his marriage. In planning this client’s care, the most appropriate intervention would be to:
1. Encourage the client to ask questions about personal sexuality.
2. Provide time for privacy.
3. Provide support for the spouse or significant other.
4. Suggest referral to a sex counselor or other appropriate professional.

Correct answer: 4. Suggest referral to a sex counselor or other appropriate professional.

Explanation: The nurse should refer this client to a sex counselor or other professional. Making appropriate referrals is a valid part of planning the client’s care. The nurse doesn’t normally provide sex counseling.